The parasympathetic secretomotor fibres to parotid gland traverse through which of the following ?
1. Chorda tympani nerve
2. Vidian nerve
3. Greater petrosal nerve
4. Auriculo temporal nerve

Correct answer: 4. Auriculo temporal nerve

Explanation: Parasympathetic supply to parotid gland : From Inferior salivatory nucleus - Glossopharyngeal nerve - tympanic plexus - lesser petrosal nerve - otic ganglion - Auriculotemporal nerve - parotid gland Chorda tympani nervecontains preganglionic parasympathetic fibres responsible forsecretion of the submandibular gland.